Most common type of Supracondylar fracture in children is
1. Posteromedial extention
2. Posterolateral extension
3. Anterimedial flexion
4. Anterolateral flexion

Correct answer: 1. Posteromedial extention

Explanation: Extension type is the most common type (97-99 percnt) and the most commonest displacement of distal fragment is Posteromedial (70-80 percnt)